Cornification index or eosinophilic index indicates:
1. Progesterone effect
2. Estrogenic effect
3. Effect of LH
4. All of the above

Correct answer: 2. Estrogenic effect

Explanation: Estrous: It is cyclical period of sexual activity in non human female mammals, marked by congestion of and secretion by the uterine mucosa, proliferation of vaginal epithelium, swelling of the vulva, ovulation, and acceptance of the male by the female. During estrus, the animal is said to be “in heat”.
Also Know:
Estrus cycle – The sequence from the beginning of one estrus period to the beginning of the next.
It includes : • Proestrus
• Estrus
• Metestrus followed by
• Diestrus (period of quiescence).